Neovascularization of iris is frequently seen in all /except:
1. CRVO
2. Diabetic retinopathy
3. Fuch's heterochromic cyclitis
4. Congenital cataract

Correct answer: 4. Congenital cataract

Explanation: D i.e. Congenital cataract Rubiosis Iridis It is neovascularization of iris and may lead to neovascular glaucoma. Neovascularization develops following retinal ischemia, which is a common feature of Proliferative diabetic retinopathyQ CRVOQ Sickel cell retinopathy Eale's disease Other rare causes are Fuch's hetrochromic cyclitisQ, chronic intraocular inflammation, intraocular tumor, long standing retinal detachment & CRAO.